HMB 45 is an immuno-histological marker for
1. Melanoma
2. Schwannoma
3. Neurofibroma
4. Rhabdomyosarcoma

Correct answer: 1. Melanoma

Explanation: HMB - 45 is an immunohistological marker for Melanoma. Ref: Quick Reference Handbook for Surgical Pathologists By Natasha Rekhtman, Justin A. Bishop, Page 12; Harrison's Principles of Internal Medicine, 16th Edition, Pages 439, 563 and 17th Edition, Page 615